Eonism is -
1. Wearing cloths of opposite sex
2. Touching one own private parts to others
3. Desire for sexual intercourse with dead bodies
4. Orgasm from visualization part of the body of a woman

Correct answer: 1. Wearing cloths of opposite sex

Explanation: Ref: Textbook of Forensic medicine and toxicology (V.V.Pillay)17th edition page no.412 Eonism also called as "cross dressing" or "Transvestism", defined as fantansised or actual dressing in the clothing of the opposite sex, for the purposes of sexual arousal, and as adjunt to masturbation or sexual intercourse.